The most common organism causing acute tosillitis is:
1. Staph aureus
2. Anaerobes
3. Hemolytic streptococci
4. Pneumococcus

Correct answer: 3. Hemolytic streptococci

Explanation: Group A beta-hemolytic streptococci is the M/C organism causing acute tonsillitis Other causes are: Staphytococci Pneumococci H. influenza